Which of the following has greater bone density?
1. Posterior mandible
2. Posterior maxilla
3. Anterior maxilla
4. Anterior mandible

Correct answer: 4. Anterior mandible